Most common cause of chronic laryngeal stenosis is
1. Trauma
2. Tuberculosis
3. SLE
4. Tumour

Correct answer: 1. Trauma

Explanation: The most common cause of chronic laryngeal stenosis is Trauma. Complications of laryngeal trauma Laryngeal stenosis which is supraglottic, glottic or subglottic. Perichondritis and laryngeal abscess. Vocal cord paralysis. Ref: Textbook of diseases of ENT, PL Dhingra, 7th edition, pg no. 326